Which of the following does NOT stimulate peripheral chemoreceptors
1. Hypoxia
2. Hypocapnia
3. Acidosis
4. Low perfusion pressure

Correct answer: 2. Hypocapnia

Explanation: Hypercapnia stimulates the peripheral chemoreceptors.